The capacity of a bullet to cause maximum destruction lies in its:
1. Size
2. Shape
3. Weight
4. Velocity

Correct answer: 4. Velocity

Explanation: Ans. Velocity